Arrange the following condition according to the worsening stages in TULI's clinical staging a-Paraplegia in extension b- ankle clonus present,extensor plantar response, no sensory deficit c- no sensory deficit , motor deficit,ambulatory with support d-Paraplegia in flexion
1. b-c-a-d
2. c-b-a-d
3. c-a-b-d
4. b-a-c-d

Correct answer: 1. b-c-a-d

Explanation: Tuli's clinical staging is used for assessment of severity and progression of neural deficit Stage 1 :Patient unaware of neural deficit, physician detects plantar extensor and/or ankle clonus. Stage 2 : Patient aware of deficit but manages to walk with support, clumsiness of gait. Stage 3 : Paralysis in extension, sensory deficit less than 50% Stage 4 : III + flexor spasm/ paralysis in flexion/ flaccid/ sensory deficit more than 50%/ sphincters involved